Brodman's area number for motor area
1. 4 and 6
2. 1,2,3
3. 5 and 7
4. 16 and 18

Correct answer: 1. 4 and 6

Explanation: Ans. (a) 4 and 6(Ref: Ganong, 25th ed/p.237)Primary motor cortex Is located in the precentral gyrus of the frontal lobe (Brodmann's area 4)Premotor cortex and supplementary motor cortex - Brodmann's area 6